All of the following are causes of cicatrizing alopecia except:
1. Lichen planus
2. Discoid lupus erythematosus
3. Alopecia areata
4. Lupus vulgaris

Correct answer: 3. Alopecia areata

Explanation: C i.e. Alopacia aerate